Weakness of both Adduction and Abduction to seen in:
1. Duane's Retraction Syndrome Type 1
2. Duane's Retraction Syndrome Type 2
3. Duane's Retraction Syndrome Type 3
4. All

Correct answer: 3. Duane's Retraction Syndrome Type 3

Explanation: Ans. Duane's Retraction Syndrome Type 3